The dose of OPV, given at birth, in case of institutional deliveries is -
1. Zero dose OPV
2. Initial dose
3. Primary dose
4. First dose

Correct answer: 1. Zero dose OPV